Alt are true about anthropometric measurements except:
1. Birth weight triples by 1 year
2. Skinfold thickness is measured in sub scapular region
3. Weight is measured to the nearest 100 gram
4. Standing height is about 1.7 cm less than recumbent length

Correct answer: 4. Standing height is about 1.7 cm less than recumbent length

Explanation: Ans: (d) Standing height is about 1.7 cm less than recumbent lengthRef: Pediatrics for Medical Graduates, Arun Babu T, 1st edition, Page 3 5.Weight: It is recommended to weigh children using a scale with the following features:Solidly built and durableElectronic (digital reading)Measures up to 150 kgMeasures to a precision of 0.1 kg (100 g)Allows tared weighing"Tared weighing" means that the scale can be re-set to zero ("tared") with the person just weighed still on it. Thus, a mother can stand on the scale, be weighed, and the scale tared. While remaining on the scale, if she is given her child to hold, the child's weight alone appears on the scale.Tared weighing has two clear advantages:There is no need to subtract weights to determine the child's weight alone (reducing the risk of error).The child is likely to remain calm when held in the mother's arms for weighing,Bathroom scales are not recommended as they tend to be unreliable.Hanging scales are also not reliable when weighing agitated babies,Precision describes the smallest exact unit that the scale can measure.Points to Remember:Birth weight of Indian children 2.8 KgTerm neonate regains lost birth weight by 7 to 10 days, preterm by 10 to 14 daysBirth weight double by 6 months, triples by 1 year, quadruples by 2 years and increases 5 times by 3 years.Age in monthsRate of weight gain (gm/day)10 days to 3 months25-304 to 6 months207 to 9 months1510 to 12 months12Formula for calculating expected weight:Infants of age 3 to 12 months weight (Kg)=(Age in months +9)/2For 1 to 6 years weight (Kg)=(Age in years x2) +8For 7 to 12 years weight (Kg)=/2 or Age in years x3Length:If a child is less than 2 years old, measure recumbent length.If the child is aged 2 years or older and able to stand, measure standing height.In general, standing height is about 0.7 cm less than recumbent length.If a child less than 2 years old will not lie down for measurement of length, measure standing height and add 0.7 cm to convert it to length.If a child aged 2 years or older cannot stand, measure recumbent length and subtract 0.7 cm to convert it to height.Equipment needed to measure length is a length board (sometimes called an infantometer) which should be placed on a flat, stable surface such as a table.To measure height, use a height board (sometimes called a stadiometer) mounted at a right angle between a level floor and against a straight, vertical surface such as a wall or pillar.Child should directly look forwards (in stadiometer) or child should be looking straight up (in infantometer) so that the head is positioned in line with FRANKFURT PLANE (the line joining the floor of external auditory meatus to the lower margin of orbit)Expected height between 2 and 12 years in cm (Weech formula)=(Age in yearsMid-Parental Target HeightIn girl (cm)=(mother's height in cm+father's height in cm-13)/2In boy (cm)=(mother's height in cm+father's height in cm+13)/2Expected adult height (cm)=Mid-Parental target height+-8